Misoprostol is a :
1. Prostaglandin E1 analogue
2. Prostaglandin E2 analogue
3. Prostaglandin antagonist
4. Antiprogestin

Correct answer: 1. Prostaglandin E1 analogue

Explanation: Natural prostaglandin in body is PGE2 whereas misoprostol and alprostadil are synthetic PGs which are PGE1 analogs.